Best method of estimation of amount of proteinuria in a 2 year child with nephrotic syndrome is?
1. Dipstick testing
2. 24 hr urine protein
3. Single morning spot urine sample for protein/creatinine ratio
4. Microalbuminuria

Correct answer: 3. Single morning spot urine sample for protein/creatinine ratio

Explanation: Best method of estimation is- Single morning spot urine sample for protein/creatinine ratio 24 hr urine protein: Difficult to collect urine sample in children Normal value <100 mg/m2/24 hr Spot urine sample for protein/creatinine ratio: Simplest method to quantitate proteinuria Normal value below 0.2; a ratio of 0.2-2 indicates mild to moderate proteinuria and >2 indicates heavy proteinuria. Dipstick testing: False-positive test can occur if urine is very alkaline (pH > 8.0) or very concentrated (specific gravity: >1.025)